Which is the longest DNA of hepatitis B virus-
1. P gene
2. X gene
3. S gene
4. C gene

Correct answer: 1. P gene

Explanation: The p gene is the largest and codes for the DNA polymerase enzyme. REF:ANATHANARAYAN AND PANIKER'S TEXTBOOK OF MICROBIOLOGY 9TH EDITION PAGE NO:544